Glutathione reductase contains the following prosthetic group:
1. FAD
2. NAD
3. ATP
4. None of the above

Correct answer: 1. FAD

Explanation: Glutathione reductase contains a flavoprotein containing FAD. Reduced glutathione removes H2O2 in a reaction catalyzed by glutathione peroxidase, an enzyme that contains the selenium analogue of cysteine (selenocysteine) at the active site. Ref: Harper 28th edition, chapter 21.